True regarding orphan drug is
1. Rare drug for common disease
2. Used rarely
3. Used for rare diseases
4. Used for orphans

Correct answer: 3. Used for rare diseases

Explanation: Orphan drugs are used for rare diseases(orphan diseases)-affecting less than 2 lakh people.oraphan drug used to treat orphan disease for orphan patient. Eg: N acetylcysteine, Deferiprone, Fomepizole,Anagrelide, erythropoietin. Ref: K.D.Tripati.7th ed. Pg 5